Infective period of chicken pox is
1. 2 days before and 2 days after rash appearance
2. 2 days before and 5 days after rash appearance
3. 4 days before and 4 days after rash appearance
4. 4 days before and 5 days after rash appearance

Correct answer: 2. 2 days before and 5 days after rash appearance

Explanation: Chicken Pox Synonym: Varicella Causative agent : Varicella zoster virus Incubation period: 14-16 days Source of infection : Case (person-to-person contact) Mode of transmission : Air droplets (respiratory) Period of communicability : 1-2 days before to 4-5 days after appearance of rash Secondary Attack rate : 90% Rash: Dew drop on rose petal Apperance. Centripetal distribution pleomorphic rash Ref: Park 25th edition Pgno : 157